Hunterian perforators are seen in
1. Upper thigh
2. Lower thigh
3. Calf
4. Mid thigh

Correct answer: 4. Mid thigh

Explanation: Hunterian perforator is seen in middle one third of thigh.It is a perforating vein that connects the great saphenous vein with the femoral vein .The great saphenous vein is a superficial vein while the femoral vein is a deep vein.It is present in the hunter's canal. Other perforating veins include, 3 medial ankle perforators of Cockett and Boyd's perforator at upper end of calf. reference: clinical anatomy for students, problem solving approach,neeta v kulkarni, 2nd edition ,page no.837